Massive blood transfusion is defined as -
1. 350 ml in 5 min
2. 500 ml in 5 min
3. 1 Litre in 5 min
4. Whole blood volume

Correct answer: 4. Whole blood volume

Explanation: Massive Blood Transfusion is defined as-
According to Sabiston- .

transfusion greater than patient's total blood volume in 24 hrs
or as acute administration of more than 10 units of blood over a few hours.

According to Schwartz-
Massive transfusion is a single transfusion of 2500 ml or 5000 ml transfused over a period of 24hrs.